Beta titanium, an excellent choice for auxiliary springs is nothing but:
1. Nitinol
2. TMA
3. Stainless steel
4. Sentinol

Correct answer: 2. TMA